Equilibrium potential of calcium is
1. -32mV
2. +65mV
3. -95mV
4. +130mV

Correct answer: 4. +130mV

Explanation: Applying the Nernst equation to external and internal calcium concentrations of 2.5 mM and 0.0001 mM, respectively, results in an equilibrium potential of +134 mV as shown below. (Ref: www.cvphysiology.com)